Grisel syndrome all are true except:
1. Post-adenoidectomy
2. Conservation treatment
3. Inflammation of cervical spine ligaments
4. No need for neurosurgeon

Correct answer: 4. No need for neurosurgeon

Explanation: Ans. d. No need for neurosurgeon (Ref: Scott and Brown 7/e p1098, 1236Grisel Syndrome:Non-traumatic atlanto-axial subluxation may occur secondary to any inflammatory process in the upper neckIt is described following tonsillectomy and adenoidectomyConservation treatment: Cervical immobilization, Analgesia and Antibiotics to reduce the risk of neurological deficitGrisel SyndromeNon-traumatic atlanto-axial subluxation may occur secondary to any inflammatory process in the upper neckQDue infection in the peri-odontoid vascular plexusQ that drains the region, bringing about paraspinal ligament laxityDescribed following tonsillectomy and adenoidectomyQIt may be associated with overuse of diathermy either for removal of adenoid or following curettageQ, when used for hemostasis.Children with Down syndromeQ have atlanto-axial instabilityTreatment:Cervical immobilizationQAnalgesiaQAntibioticsQ to reduce the risk of neurological deficit